The commonest side effect of cisplatinum in a patient using it for esophageal carcinoma is
1. Acute tubular necrosis
2. Thrombocytopenia
3. Hepatic failure
4. Cardiomyopathy

Correct answer: 1. Acute tubular necrosis